All of the following statements about Phenytoin are true, Except:
1. Follows saturation kinetics
2. Is teratogenic
3. Is highly protein bound
4. Stimulates Insulin secretion

Correct answer: 4. Stimulates Insulin secretion

Explanation: Phenytoin inhibits the release of insulin and cause hyperglycemia. Ref: Essentials of Medical Pharmacology By KD Tripathi, 5th Edition, Page 372, 373.